A patient of RTA with injury over chest and limbs has low sp 02. M mode US of right upper part of chest shows stratosphere sign. What is the diagnosis?
1. Haemothotax
2. Pneumothorax
3. Cardiac tamponade
4. Pulmonary embolism

Correct answer: 2. Pneumothorax

Explanation: Ans. Pneumothorax